Kusumlata presents with acute painfull red eye and mild dilated vertically oval pupil. Most likely diagnosis is:
1. Acute retrobulber neuritis
2. Acute angle closure glaucoma
3. Acute anterior uveitis
4. Severe kerato-conjunctivitis

Correct answer: 2. Acute angle closure glaucoma

Explanation: B i.e. Acute angle closure glaucoma